50 year old male is evaluated for haemoptysis. His CXR shows a cavitating lesion. All of the following can be the cause for this EXCEPT:
1. Aspergilloma
2. Community acquired pneumonia (CAP)
3. Wegener's granulomatosis
4. Sarcoidosis

Correct answer: 4. Sarcoidosis

Explanation: Hemoptysis with Cavitation in lungs is seen in : Aspergilloma Community acquired pneumonia (CAP) Wegener's granulomatosis Staphylococcus aureus Streptococcus millieri Tuberculosis Sarcoidosis Non caseating granulomas MC organ involved - Lung-no cavitation CXR => Stage CXR Features 1 Hilar LN 2 Hilar LN + infiltrates 3 Infiltrates 4 Fibrosis